Anterior ethmoidal artery closely relates to?
1. Recurrent laryngeal nerve
2. Nasociliary nerve
3. Optic nerve
4. Posterior ethmoidal artery

Correct answer: 2. Nasociliary nerve

Explanation: Nasociliary nerveOnce branching from the ophthalmic artery, it accompanies the Nasociliary nerve through the anterior ethmoidal canal to supply the anterior and middle ethmoidal cells, frontal sinus, and anterosuperior aspect of the lateral nasal wall.